Which is the commonest site for extrapulmonary TB?
1. Pleura
2. Lymph node
3. Intestine
4. Meninges

Correct answer: 2. Lymph node

Explanation: Extrapulmonary tuberculosis is tuberculosis (TB) within a location in the body other than the lungs. This occurs in 15-20% of active cases, causing other kinds of TB. These are collectively denoted as "extrapulmonary tuberculosis". Extrapulmonary TB occurs more commonly in immunosuppressed persons and young children . Ref Harrison20th edition pg 1097